Glasgow coma scale includes all except
1. Eye opening
2. Verbal response
3. Motor response
4. Swallowing reflex

Correct answer: 4. Swallowing reflex